Cephalic index of negros ?
1. 85-90
2. 80-85
3. 75-80
4. 70-75

Correct answer: 4. 70-75

Explanation: Ans. is 'd' i.e., 70-75